Infected gangrene of skin and subcutaneous tissues are?
1. Dry gangrene
2. Wet gangrene
3. Erysipelas
4. None of the above

Correct answer: 2. Wet gangrene

Explanation: Dry gangrene as a result of ischemia due to arterial occlusion (arteriosclerosis) by, that leads to coagulative necrosis.
Wet gangrene When the overlying skin of dry gangrenous tissue is devitalized, bacterial infection is superimposed. More commonly due to venous occlusion then arterial occlusion.
Erysipelas is an acute infection of the upper dermis and superficial lymphatics, usually caused by beta-hemolytic group A Streptococcus bacteria.